Which of the following ovarian tumour is most prone to undergo torsion during pregnancy ?
1. Serous cystadenoma
2. Mucinous cystadenoma
3. Dermoid cyst
4. Theca lutein cyst

Correct answer: 3. Dermoid cyst

Explanation: Dermoid cyst is most prone to undergo tiorsion in pregnancy. Refer page no 224 for the question AIIMS 2006 , Text book of obsteritics,sheila balakrishnan,2 nd edition. Because ofmthe high incidence of mucinous cystadenomas, dermoid cyst torsion is most frequently seen with these tumours. There is no particular age incidence. The right and left sides are involved with equal frequency. Usually, the tumour rotates so that its anterior surface turns towards the patient's right side. It is not uncommon for the tumour to be rotated through three or more complete circles. As a result of rotation, the veins in the pedicle become occluded, the tumour becomes congested, and there is interstitial haemorrhage in the wall of the tumour and into the loculi. The increased tension causes severe abdominal pain and the signs of peritoneal irritation. Reference: Shaw's Textbook of Gynaecology 16th edition page 445